Rapidly proliferative glomerulonephritis is histologically characterized by?
1. Crescent in glomerulus
2. Diffuse glomerulosclerosis
3. Thickened basement membrane
4. Capsular drop

Correct answer: 1. Crescent in glomerulus

Explanation: Ans. a (Crescent in glomerulus). (Robbins.Pathologic.Basis.of.Disease.7th/Table 20-6).Major Primary GlomerulonephritidesDiseaseMost Frequent Clinical featurePathogenesisLight MicroscopyFluorescence MicroscopyElectron MicroscopyPoststreptococcal glomerulonephritisAcute nephritisAntibody mediated; circulating or planted antigenDiffuse proliferation; leukocytic infiltrationGranular IgG and C3 in GBM and mesangiumSubepithelial humpsGoodpasture syndromeRapidly progre- ssive glomerulo- nephritisAnti-GBM COL4-A3 antigenProliferation; crescentsLinear IgG and C3; fibrin in crescentsNo deposits; GBM disruptions; fibrinIdiopathic RPGNRapidly progre- ssive glomerulo- nephritisAnti-GBM antibodyProliferation; focal necrosis; crescentsLinear IgG and C3No deposits--Immune complex-Granular IgG or IgA or IgMDeposits may be present--ANCA-associated-Negative or equivocalNo depositsMembranous glomerulopathyNephrotic syndromeIn situ antibody- mediated; antigen unknownDiffuse capillary wall thickeningGranular IgG and C3; diffuseSubepithelial depositsMinimal change diseaseNephrotic syndromeUnknown, loss of glomerular polyanion; podocyte injuryNormal; lipid in tubulesNegativeLoss of foot processes; no depositsFocal segmental glomerulosclerosisNephrotic syndrome; non- nephrotic proteinuriaUnknown, Ablation nephropathy Plasma factor (?); podocyte injuryFocal and segmental sclerosis and hyalinosisFocal; IgM and C3Loss of foot processes; epithelial denudationMembranoprolife- rative glomerulo- nephritis (MPGN) Type 1Nephrotic syndrome(I) Immune complexMesangia! proliferation; basement membrane thickening; splitting(I) IgG + C3; Clq + C4(1) Subendo thelial depositsDense deposit disease (MPGN Type II)Hematuria, Chronic renal failure(II) AutoantibodyAlternative complement pathway(II) C3 +- IgG; no Clq or C4(II) Dense depositsIgA nephropathyRecurrent hematuria or proteinuriaUnknownFocal prolife- rative glomeruloneph- ritis; mesangial wideningIgA +/- IgG, IgM, and C3 in mesan- giumMesangial and paramesangial dense depositsChronic glomerulonephritisChronic renal failureVariableHyalinized glomeruliGranular or negative